Cutis marmorata occurs due to exposure to-
1. Cold temperature
2. Dust
3. Hot temperature
4. Humidity

Correct answer: 1. Cold temperature

Explanation: Ref. Rook's Textbook of Dermatology, Pg 99
 
Cutis Marmorata

Skin has a pinkish blue mottled or marbled appearance when subjected to cold temperatures.
It occurs in about 50% of children and is typically seen throughout infancy.